Hemolytic uraemic syndrome associate with
1. E. coli 0157
2. Malaria
3. Parvovirus B19
4. Baonela henselae

Correct answer: 1. E. coli 0157

Explanation: EHEC Entero haemorrhagic E.coli Cause HUS Shiga like toxin or Verotoxin (VT-1& VT-2) Aka verotoxigenic E.coli Culture media is Sorbitol mac-Conkey agar (SMAC) and Rainbow agar used Diarrhoea causing E coli EPEC - Entero Pathogenic Attaching/Effacing lesions to villi EIEC - Entero Invasive resemble shigellosis & sereny test +ve 3. ETEC - Traveller's diarrhoea CFA (colonisation factor antigen 4. EAEC - Aggregative persistent type of diarrhoea (EAST-1 Toxin) Parvo Virus B19: Single standard DNA Virus cause Aplastic Crisis